Contraindication of Beta blockers include
1. Bronchial asthma
2. Variant angina
3. Decompensated heart failure
4. All the above

Correct answer: 4. All the above

Explanation: Beta blockers cause bronchospasm, vasospasm absolutely contraindicated in acute or decompensated CCF except for carvedilol, heart blocck,COPD,DM.Raynauds syndrome Ref: KD Tripathi; 6th ed; Pg 139.